Which of the following is not a component of TPN
1. Aminoacids
2. Fats
3. Fibre
4. Vitamins

Correct answer: 3. Fibre

Explanation: TPN can be administered either by a catheter inserted in the central vein or a peripheral line. In the early days of paren- teral nutrition, the only energy source available was hypertonic glucose, which, being hypertonic, had to be given into a cen- tral vein to avoid thrombophlebitis. In the second half of the last century, there were a number of important developments that have influenced the administration of parenteral nutri- tion. These include the identification of safe and non-toxic fat emulsions that are isotonic; pharmaceutical developments that permit carbohydrates, fats and amino acids to be mixed in single containers; and a recognition that the provision ofenergy during parenteral nutrition should be a mixture of glu- cose and fat and that energy requirements are rarely in excess of 2000 kcal/day (25-30 kcal/kg per day). These changes enabled the development of peripheral parenteral nutrition. Ref: Bailey and love 27th edition Pg no :286